Condyloma acuminata in pregnancy is best treated by:
1. Podophyllin
2. Cryotherapy
3. Trichloroacetic acid
4. 5-FU cream

Correct answer: 2. Cryotherapy

Explanation: Condyloma acuminata - HPV types 6 and 11, mucocutaneous external genital was Trichloroacetic or bichloracetic acid, applied topically once a week, is an effective regimen for external was Cryotherapy is the best. Also laser ablation, or surgical excision can be tried for treatment in pregnancy Agents not recommended in pregnancy -Podophyllin resin -podofilox 0.5-percent solution or gel -imiquimod 5-percent cream -interferon therapy -sinecatechins.